Drug used in glaucoma is –
1. Propranolol
2. Atenolol
3. Timolol
4. Pindolol

Correct answer: 3. Timolol

Explanation: Topical β-blockers used for POAG are Timolol, betaxolol, levobunolol, carteolol.